Which of the following is a recently approved monoclonal antibody for treatment of Hemophilia A?
1. Emicizumab
2. Sarilumab
3. Abaloparatide
4. Durvalumab

Correct answer: 1. Emicizumab

Explanation: EMICIZUMAB : Bispecific monoclonal antibody. Binds to both activated factors IX and X and helps in activation of factor X. This is normally the function of coagulation factor VIII, which is missing in haemophilia A patients Act like factor VIII so it is used for HEMOPHILIA A patients. SARILUMAB : MAB against IL -6 Used for Rheumatic arthritis ABALOPARATIDE : It is parathyroid related protein Used for Osteoporosis Injectable drug DURVALUMAB : MAB against PD ligand Used for urothelial carcinoma.